Which of the following is the most common orofacial malformation that produces malocclusion?
1. Cleft lip and palate
2. Ectoderrnal dysplasia
3. Pierre Robin syndrome
4. Osteogenesis imperfecta

Correct answer: 1. Cleft lip and palate